Clumsy child syndrome is classified under which of the following class of disorders ?
1. Cerebral palsy
2. Developmental coordination disorder
3. Tic disorder
4. Attention deficit hyperactivity disorder

Correct answer: 2. Developmental coordination disorder

Explanation: Clumsy child syndrome Developmental coordination disorder. Awkward motor behaviors that can't be associated with any specific neurological disorder Developmental coordination disorder can be clumsy gross or fine motor skills- Poor performance in sports and academics